Which of these disorders in neonates can best be excluded or diagnosed by anorectal manometry?
1. Hypertrophic pyloric stenosis
2. Duodenal atresia
3. Meconium plug syndrome
4. Hirschsprung's disease

Correct answer: 4. Hirschsprung's disease

Explanation: Ans. D. Hirschsprung's diseaseAnorectal manometry should ideally be performed in all newborns with symptoms of lower bowel obstruction. This technique is useful in assessment of changes in anal pressure which are recorded during and after rectal distention. It is most helpful for diagnosing or excluding Hirschsprung's disease.